Most common cause of Neuropathy is
1. Leprosy
2. Guillaine-Barre syndrome
3. Amyloidosis
4. Diabetes mellitus

Correct answer: 4. Diabetes mellitus

Explanation: (D) Diabetes mellitus # DIABETIC NEUROPATHY occurs in 50% of individuals with long standing Type I & Type II DM.> It may manifest as poly neuropathy, mono neuropathy, and/or autonomic neuropathy.> As with other complications of DM, the development of neuropathy corrilates with the duration of diabetes and glycemic control.